Which of the following is mechanism of action of dapsone?
1. Inhibit the cell wall synthesis
2. Inhibit the sterol of cell wall
3. Inhibit the protein synthesis
4. Compete with PABA in folic acid synthesis

Correct answer: 4. Compete with PABA in folic acid synthesis

Explanation: Dapsone is analogue of PABA Competively inhibits dihyropteroate synthase - decreases folic acid synthesis. It can cause mild hemolysis, anemia and psychosis. Uses: Leprosy Malaria Prophylaxis of pneumocystitis Dermatitis herpetiformis